All are seen in blunt injury of the eye except:
1. Hyphema
2. Iridocyclitis
3. Double perforation
4. Retinal detachment

Correct answer: 3. Double perforation

Explanation: Ans. Double perforation